Exclusive breastfeeding is done till:
1. 4 months
2. 6 months
3. 8 months
4. 10 months

Correct answer: 2. 6 months

Explanation: Exclusive breastfeeding is recommended till the age of 6 months; thereafter 'complimentary feeding' is started.